Complement complex that attacks cell membrane is
1. C12345
2. C23456
3. C34567
4. C56789

Correct answer: 4. C56789

Explanation: The complement complex attacking the cell membrane is membrane attack complex having a composition of C56789
Action of this complex leads to entry of fluid and ions inside the cells leading to cell lysis.
Complement system has three main function
1. Inflammation
2. Opsonization
3. Cell lysis